A coin foreign body is stuck in esophagus at 25cm from incisors. This is approximately situated at which of the following levels?
1. Left mainstem bronchus
2. Diaphragm
3. Cricopharyngeal constriction
4. Gastroesophageal junction

Correct answer: 1. Left mainstem bronchus

Explanation: On endoscopy, 3 narrowing's are seen from upper incisors. Mnemonic B - 15 AL - 25 D - 40 B - At beginning/cricopharynx 15 cm from upper incisors A- At Arch of aorta 25cm from upper incisors L- At Left Bronchus 25 cm from upper incisors D- At Diaphragm 40cm from upper incisiors